Giardiasis true is all except ?
1. Diarrhea with steatosis
2. Bloody diarrhea
3. Metronidazole is the drug of choice
4. Absent fever

Correct answer: 2. Bloody diarrhea

Explanation: Ans. is 'b' i.e., Bloody diarrhea Giardiasis Most of the infected pateints are asymptomatic. Giardia causes diarrhea and malabsorption. Malabsoion is due to loss of brush border enzyme activities, which cause fat malabsorption (steatorrhea) and vitamin deficiency. There may be abdominal pain, bloating, nausea & vomiting, flatulence and flatus. The mechanisms by which Giardia causes alteration in small bowel function are largely unknown. Although trophozoites adhere to the epithelium, they do not cause invasive or locally destructive alterations. Fever, the presence of blood or mucus in the stools suggest a different diagnosis as all these are absent in giardiasis. Giardia may also cause traveller's diarrhea. Predisposing conditions to giardiasis are agammaglobulinemia, common variable immunodeficiency, and selective IgA-deficiency. Diagnosis and treatment The gold - standard for diagnosis of giardiasis is microscopic demonstration of the trophozoite, cyst or both in faeces. Duodenal aspirate or jejunal biopsy may be required for diagnosis. In acute giardiasis trophozoites show the typical "falling-leaf" motility in wet mount examination of faeces. o Metronidazole and tinidazole are drug of choice for Giardia lambia.